PCT absorbs all except:
1. Sodium
2. Amino acids
3. Glucose
4. Hydrogen ions

Correct answer: 4. Hydrogen ions

Explanation: Ans. D: Hydrogen ions Normally about 65% of the filtered load of sodium and water, essentially all the filtered glucose and amino acids and a slightly lower percentage of filtered chloride are reabsorbed by the proximal tubule. The proximal tubules also secretes organic acids, bases and hydrogen ions into the tubular lumen.